Athlete's foot is caused by?
1. Candida
2. Madurella
3. Actinomycosis
4. Dermatophytes

Correct answer: 4. Dermatophytes

Explanation: Tinea pedis is a dermatophyte infection of feet and is also referred as Athlete's foot. Tenia pedis T. Rubrum most common Dull erythema with scales. Diagnosis: KOH exam - Thick scale, no leading edge Rx: Dry Feet Don't wear the same shoes everyday, Absorbent powders Rx Scale- keratolytic agents- Salicylic acid Topical: Allylamines may be more effective than azoles Steroids for severe inflammation.